Hernias at lateral border of rectus abdominis is:
1. Spigelian hernia
2. Ventral hernia
3. Epigastric
4. None of the above

Correct answer: 1. Spigelian hernia

Explanation: Spigelian hernias can occur anywhere along the length of the Spigelian line or zone -- an aponeurotic band of variable width at the lateral border of the rectus abdominis. Ref: Schwartz's principle of surgery 9th edition, chapter 35.